Superfecundation refers to
1. Fertilization of one ovum with two spermatozoa
2. Fertilization of two ova in the same menstrual cycle
3. Fertilization of two ova in different menstrual cycles
4. Fertilization of three ova in the same menstrual cycle

Correct answer: 2. Fertilization of two ova in the same menstrual cycle

Explanation: Mechanism of monozygotic twinning:The outcome of the monozygotic twinning process depends on when division occurs. If zygotes divide within the first 72 hours after fertilization, two embryos, two amnions, and two chorions develop, and a diamniotic, dichorionic twin pregnancy evolves.If division occurs between the fourth and eighth day, a diamniotic, monochorionic twin pregnancy results. By approximately 8 days after fertilization, the chorion and the amnion have already differentiated, and division results in two embryos within a common amniotic sac, that is, a monoanionic, monochorionic twin pregnancy. Conjoined twins result if twinning is initiated later.(Ref: William's Obstetrics; 25th edition)